Bernoulli's principle states
1. Sum of kinetic energy of flow and pressure energy is constant
2. Low tones producing maximal stimulation at apex of cochlea
3. Magnitude of the sensation felt is proportionate to the intensity of stimulus
4. Force of contraction is proportional to the stretch of cardiac muscle

Correct answer: 1. Sum of kinetic energy of flow and pressure energy is constant

Explanation: Ans. (a) Sum of kinetic energy of flow and pressure energy is constantRef: Ganong, 25th ed/p.571Velocity of blood flow (kinetic energy) and the pressure (potential energy) are interrelated by the Bernoulli's principleBernoulli's principle#States that "The sum of the kinetic energy of flow and the potential energy--is constant"#According to the principle, the greater the velocity of flow in a vessel, the lower the#lateral pressure distending its walls to keep the total energy of the system constant